Positive head impulse test is suggestive of
1. Injury to vestibular nuclei
2. Injury to peripheral vestibular nerve
3. Lesion in the brain stem
4. Injury to Occulomotor nerve

Correct answer: 2. Injury to peripheral vestibular nerve

Explanation: The HIT test is a bedside technique used to diagnose reduction in vestibular function in one ear versus the other. It describes the result of having an examiner abruptly accelerate and then decelerate the head, moving the head rapidly at high speed and then stopping it. Positive HIT is suggestive of injury to the peripheral vestibular nerve.